Acrodermatitis continua of Hallopeau is due to:
1. Pustular psoriasis
2. Zinc toxicity
3. Zinc deficiency
4. Collodion baby

Correct answer: 1. Pustular psoriasis

Explanation: Ans. (a) Pustular psoriasisRef: Pediatric Dermatology 3rd ed./1137* Acrodermatitis continua of Hallopeau ("Dermatitis repens Crocker") is a rare, sterile, pustular eruption of the fingers and toes that slowly extends proximally.* Zinc toxicity can cause zinc shakes especially after inhalation of zinc following welding of galvanized metals.* Zinc deficiency is known as acrodermatitis enterohepatica* Collodion baby- appearance is often described as a shiny film looking like a layer of vaseline. The eyelids and mouth may have the appearance of being forced open due to the tightness of the skin. Collodion baby can have severe medial consequences, mainly because the baby can lose heat and fluid through the abnormal skin. This can lead to hypothermia and dehydration. Strategies to prevent these problems are the use of emollients or nursing the baby in a humidified incubator.